Regarding Sarcoidosis : 1. Most commonly involved organ is lung. 2. Lupus pernio is a type of sarcoid skin lesion. 3. 90 % patients will have abnormal chest X-ray sometime during the course. 4. Blindness is not a complication. 5. Tissue biopsy is not mandatory to establish the diagnosis.
1. 1, 2 , 3 - True & 4, 5 - False
2. 1, 5 - True & 2, 3, 4 - False
3. 1, 2, 4, 5 - True & 3 - False
4. 1, 2 - True & 3, 4, 5 - False

Correct answer: 1. 1, 2 , 3 - True & 4, 5 - False

Explanation: Sarcoidosis is an inflammatory disease characterized by the presence of non caseating granulomas. It can affect any organ of the body but lung is most commonly affected (90%) and chest Xray shows bilateral hilar adenopathy. Liver, skin and eye are the other commonly affected organs. Classic cutaneous lesions seen are erythema nodosum, maculopapular lesions or subcutaneous nodules. Lupus pernio is a skin lesion diagnostic of chronic form of sarcoidosis. Most common eye manifestion is anterior uveitis. Diagnosis requires a consistent clinical picture, a biopsy showing typical non caseating granuloma and exclusion of other granulomatous disorders. Ref: Harrison's Principles of Internal Medicine, 18th Edition, Chapter 329.